True about hypertrophied scar is:
1. Grows beyond the original wound
2. Pigmented
3. Develops within 2 to 6 wks
4. All

Correct answer: 3. Develops within 2 to 6 wks

Explanation: Ans is c (Develops within 2 to 6 wks)